Which of the following is not involved in MEN II syndrome -
1. Pituitary tumor
2. Medullary carcinoma of thyroid
3. Pheochromocytoma
4. Parathyroid adenoma

Correct answer: 1. Pituitary tumor

Explanation: Ans. is 'a' i.e., Pitutary tumor Disease associations in the Multiple Endocrine Neoplasia (MEN) SyndromesMEN 1MEN 2Mixed syndromesParathyroid hyperplasia or adenomaIslet cell hyperplasia, adenoma or carcinoma Pituitary heperplasia or adenomaOther, less common manifestations: foregut carcinoid, pheochromocy'toma, subcutaneous or visceral lipomasMEN 2AMTCPheochromocytomaParathyroid hyperplasia or adenomaMEN 2A with cutaneous lichen amyloidosisMEN 2A with Hirschsprung diseaseFamilial MTCMEN 2BMTCPheochromocytomaMucosal and gastrointestinal neuromasMarfanoid featuresVon Hippel-Lindau syndromePheochromocytoma Islet cell tumor Renal cell carcinoma Hemangioblastoma of central nervous system Retinal angiomasNeurofibromatosis with features of MEN t or 2Carney complexMyxomas of heart, skin, and breast Spotty cutaneous pigmentation Testicular, adrenal, and GH-producing pituitary' tumors Peripheral nerve schwannomasFamilial growth hormone or prolactin producing pitutary tumors